The hormone which links the obesity and puberty
1. Growth hormone
2. Thyroid hormone
3. Leptin
4. Ghrelin

Correct answer: 3. Leptin